Function of Golgi tendon organ is to detect:-
1. Tension
2. Length
3. Pressure
4. Proprioception

Correct answer: 1. Tension

Explanation: - Muscles & their tendons are supplied abundantly with 2 special types of sensory receptors 1.muscle spindles - Distributed throughout belly of muscle & send information to nervous system about muscle length / rate of change of length. 2. Golgi tendon organs - Located in muscle tendons & transmit information about tendon tension or rate of change of tension. - Signals from these 2 Receptors are almost entirely for intrinsic muscle